MERCEDES BENZ sign seen in
1. Volvulus
2. Gall stone
3. Struvite calculus
4. Intussuception

Correct answer: 2. Gall stone

Explanation: Answer- B. Gall stoneMercedes benz sign (Also known as fack stone sign)On xray - Gall stones